When you conduct a physical examination on a 2-year-old boy, which of the following procedures is most effective?
1. Ask the parent to leave the room so that you can handle the child better
2. Ask the child's permission to do the examination before you begin
3. Start the examination at the child's feet and work your way up toward the head
4. Carefully explain to the child what you are going to do and why you are going to do it before you begin

Correct answer: 3. Start the examination at the child's feet and work your way up toward the head

Explanation: In examining a 2-year-old child, start the examination at the child's feet and work your way up toward the head. Children are much more tolerant of having their feet touched than their head. Because children at the age of 2 are fearful (separation from parents, having the parent in the room may help you handle the child. Children at 2 years of age do not fully understand why you are going to do or why you are going to do it, therefore, explaining your actions to the child would not be helpful. In addition, because the child's favorite word at the age of 2 is "no, asking the child's permission to do the examination before you begin will probably elicit that response Asking the nurse to restrain the child would did fear in the child rather than make the examination easier. Ref: Nelson paediatrics; Table 11-1